Formation of granulation tissue is due to:
1. Thrombosed vessels
2. Budding of new capillaries
3. Mucosal proliferation
4. Infiltration of cells.

Correct answer: 2. Budding of new capillaries

Explanation: Ans. is 'b' Budding of new capillaries Granulation tissue is a highly vascularized connective tissue. It is formed when tissue heals by scar formation. It appears pink and granular because of newly formed capillaries present in it.It also consists of:FibroblastsResidual inflammatory cells.